The most common cause of ronchopulmonary aspergillosis is -
1. Aspergillus fumigatus
2. Aspergillus clavatus
3. Aspergillus flavus
4. Aspergillus niger

Correct answer: 1. Aspergillus fumigatus